Which of the following features helps in distinguishing seizures from syncope
1. Loss of consciousness
2. Injury due to fall
3. Urinary incontinence
4. Physical weakness with clear sensorium

Correct answer: 4. Physical weakness with clear sensorium